Lifespan of fetal RBC is-
1. Same as adult RBC
2. 1/4 of adult RBC
3. 1/2 of adult RBC
4. 2/3 of adult RBC

Correct answer: 4. 2/3 of adult RBC

Explanation: Ans. (d) 2/3 of adult RBCRef: Ganong, 25th ed/p.555Life span of fetal RBCs is 60 to 90 days. It is about 2/3rd of adult RBCs life span